Which of the following is not an example of massive splenomegaly:
1. Chronic myeloid leukemia
2. Chronic malaria
3. Tropical splenomegaly
4. Acute lymphoblastic leukemia

Correct answer: 4. Acute lymphoblastic leukemia